A 35-year-old male presented with nasal discharge, facial pain and fever which persisted with several courses of antibiotics and antihistaminics over a period of 3 months. On nasal endoscopy mucopurulent discharge from middle meatus and inflamed sinus openings seen. His NCCT nose and PNS is given below. He should be best managed by:
1. Repeated antral washout
2. Functional endoscopic sinus surgery
3. Caldwell-Luc operation
4. Lynch Howarth operation

Correct answer: 2. Functional endoscopic sinus surgery

Explanation: (b) Functional endoscopic sinus surgery(Ref. Scott Brown, 8th ed., Vol 1; 1072)NCCT shows left maxillary sinus (asterisk) haziness s/o sinusitis.